From vitreous humor, estimation of time since death is done by:
1. K+- level
2. Na+ level
3. Glucose level
4. Urea level

Correct answer: 1. K+- level

Explanation: Ans. K+- level